M.C. organism in acute osteomyelitis ?
1. Staphylococcus aureus
2. Salmonella
3. Pseudomonas aeruginosa
4. Streptococcus pneumonia

Correct answer: 1. Staphylococcus aureus

Explanation: Ans. is 'a' i.e., Staphylococcus aureus Acute osteomyelitis may be : - i) Primary (hematogenous) : - Organisms reach the bone through blood stream. ii) Secondary : - Organism gain entery directly through wound such as in compound fractures or surgical operation. Hematogenous osteomyelitis is the commonest form of osteomyelitis and most common source of bone and joint infection is hematogenous. It is caused most commonly by staphylococcus aureus. Other causative organisms are streptococcus, pneumococcus, and gram negative bacilli. Infection by pseudomonas becomes proportionally much more common in IV drug abuser. But, the most common organism is staphylococcus aureus.